Which of the following drugs results in the production of orange coloured urine ?
1. Rifampicin
2. Isoniazid
3. Pyrazinamide
4. Ethambutol

Correct answer: 1. Rifampicin